Patients at increased risk for gastric carcinoma include all the following EXCEPT
1. Those who have undergone gastric resection for duodenal ulcer
2. Those with pernicious anemia
3. Those who have andergone gastric bypass for morbid obesity
4. Those with blood group A

Correct answer: 3. Those who have andergone gastric bypass for morbid obesity

Explanation: Patients with pernicious anemia who have atrophic gastritis are at increased risk. Patients with blood group A are also at risk, although this observation has never been explained. Carcinoma may develop in the gastric remnant many years after gastric resection for duodenal ulcer, probably on the basis of bile-induced gastritis. Gastric cancer is not recognized as a complication of gastric bypass procedures.